Knee is which type of joint:
1. Synarthrosis
2. Symphysis
3. Amphiarthrosis
4. Diarthrosis

Correct answer: 4. Diarthrosis

Explanation: Synarthrosis are immovable joints and include the ﬁbrous joints.
Amphiarthrosis are slight mobile and include the cartilaginous joints.
Diarthrosis are freely mobile joints and include the synovial joints.